ATT most commonly implicated in causing peripheral neuropathy are:
1. Rifampicin
2. Pyrazinamide
3. INH
4. Ethambutol

Correct answer: 3. INH

Explanation: Peripheral neuritis and a variety of neurological manifestations (paraesthesias, numbness, mental disturbances, rarely convulsions) are the most important dose-dependent toxic effects of INH.
These are due to interference with the utilization of pyridoxine and its increased excretion in urine.